The following are the indications for Metronidazole except:
1. Ulcerative gingivitis
2. Amoebiasis
3. Trichomonas infection
4. Streptococcal sore throat

Correct answer: 4. Streptococcal sore throat